Intranasal calcitonin is used for
1. Paget's disease
2. MEN syndrome
3. Hypercalcemia
4. Osteoporosis-Post menopausal

Correct answer: 4. Osteoporosis-Post menopausal

Explanation: Calcitonin nasal spray is used together with calcium and vitamin D to treat bone loss in women with postmenopausal osteoporosis who have been postmenopause for at least 5 years. REF KD Tripathi 8th ed